Which of the following cannot be detected by wet film?
1. Candida
2. Trichomonas
3. Chlamydia
4. Bacterial vaginosis

Correct answer: 3. Chlamydia

Explanation: diagnosis of chlamydial infections

nucleic acid amplification by PCR 
Chlamydial Antigenby ELISA,
Tissue cultures